The following statements are related to symphysiotomy except:
1. The operation is done only when obstruction is anticipated
2. Isolated outlet contraction is the ideal case
3. FHS must be present
4. Ventouse is preferable to forceps for extraction

Correct answer: 1. The operation is done only when obstruction is anticipated

Explanation: Symphysiotomy is the operation designed to enlarge the pelvic capacity by dividing the symphisis pubis. It should be done only when the obstruction is ESTABLISHED and not anticipated. -isolated outlet contraction is ideal -FHS must be present -ventouse is preferable to forceps for extraction (DC Dutta TB of obstetrics 8th edtn pg 679)